Which of the following is an example of a composite material:
1. A filled resin
2. Colloidal silica
3. gold alloy
4. wax

Correct answer: 1. A filled resin